Naltrexone is used for which of the following poisoning?
1. Heroin
2. Atropine
3. Cannabis
4. Diazepam

Correct answer: 1. Heroin

Explanation: Ref: KDT 6/e p467 Naltrexone is an orally effective opioid antagonist. It is useful for the maintenance of the patient of opioid poisoning once it has been treated with naloxone. Heroin is an opioid, whose poisoning can be treated by naloxone and naltrexone.